Angiotensinogen is secreted by ?
1. Kidney
2. Lung
3. Liver
4. Brain

Correct answer: 3. Liver

Explanation: Ans. is 'c' i.e., Liver Angiotensinogen (a, - globulin) is produced in liver and is converted to angiotensin I (A-I) with the help of renin which is secreted by juxtaglonierular cells of afferent arterioles of kidney and lacis cells (located in the junction between the afferent and efferent arterioles). Angiotensin I is converted to Angiotensin II (A-II) by angiotensin converting enzyme (ACE). Which is located primarily on the luminal surface of vascular endothelial cells, especially in lungs.